Antiarrhythmic drugs not causing torsade De points are
1. Quinidine
2. Disopyramide
3. Procainamide
4. Lidocaine

Correct answer: 4. Lidocaine

Explanation: Refer kDT 6/e 510 Torsedes de points is seen with potassium channel blocker (class 1 and class 3 antiarrhythmic drugs) Eg: beryllium, ibutilide,disopyramide, quinidine, procainamide